Leishmania is cultured in __________ media-
1. Chocolate agar
2. N.N.N
3. Tellurite agar
4. Sabouraud's agar

Correct answer: 2. N.N.N

Explanation: Leishmania can be cultured in medium: NNN medium—Novy, MacNeal and Nicolle medium.
Material for culture is inoculated in water of condensation of the medium and incubated at 22°C.